Functional cast bracing not used in fracture of
1. Humerus
2. Tibia
3. Ulna
4. Thoracolumbar spine

Correct answer: 4. Thoracolumbar spine

Explanation: Functional cast bracing is used for the fracture of:HumerusFemurUlnaTibia(Refer: Mohindra's Fundamentals of Orthopedics, 2nd edition, pg no. 28)